Berksonian bias is a type of?
1. Selection bias
2. Interviewer bias
3. Information bias
4. Recall bias

Correct answer: 1. Selection bias